Apoproteins present in LDL -
1. B-48
2. B-100
3. C-I
4. C-III

Correct answer: 2. B-100

Explanation: B-100 

Only apoprotein of LDL is apo B-100.